Not a stimuli for insulin secretion:
1. Glucagon
2. Hypokalemia
3. Ketone bodies
4. Amino acids

Correct answer: 2. Hypokalemia

Explanation: (Refer: Ganong’s Physiology, 23rd edition, pg no: 537)
Factors Affecting Insulin Secretion